Linea alba is
1. A type of frictional hyperkeratosis that appears as a linear white line in buccal mucosa.
2. Usually present as ulcers
3. Traumatic implantation of amalgam particles into mucosa.
4. Caused by a chemical in tobacco smoke that stimulates melanin production.

Correct answer: 1. A type of frictional hyperkeratosis that appears as a linear white line in buccal mucosa.